Glasgow coma scale in death is:
1. 0
2. 1
3. 2
4. 3

Correct answer: 4. 3

Explanation: (D) 3 > Note that a motor response in any limb is acceptable.> The scale is composed of three tests: eye, verbal and motor responses.> The three values separately as well as their sum are considered.> The lowest possible GCS (the sum) is 3 (deep coma or death), while the highest is 15 (fully awake person).GLASGOW COMA SCALE 123456EyeDoes not open eyesOpens eyes in response to painful stimuliOpens eyes in response to voiceOpens eyes spontaneouslyN/AN/AVerbalMakes no soundsIncomprehensible soundsUtters incoherent wordsConfused, disorientedOriented, converses normallyN/AMotorMakes no movementsExtension to painful stimuli (decerebrate response)Abnormal flexion to painful stimuli (decorticate response)Flexion / Withdrawal to painful stimuliLocalizes painful stimuliObeys commands